Cerebral amoebiasis is not caused by
1. Naegleria
2. Acanthamoeba
3. Dientamoeba
4. Balamuthia

Correct answer: 3. Dientamoeba

Explanation: Three free living amoebae are neuropathogenic (encephalitis)

Naegleria fowleri causes primary amoebic meningoencephalitis.  
Acanthamoeba causes granulomatous amoebic encephalitis.
Balamuthia mandrillaris causes amoebic meningoencephalitis.